Which vitamin required for hydroxylation of proline?
1. A
2. D
3. C
4. K

Correct answer: 3. C

Explanation: Vitamin-c is required for hydroxylation of proline and lysine They form cross links and maintain stability of collagen Ref:Guyton and Hall textbook of medical physiology 12th edition,page number:229